Most radiosensitive tumor among the following is
1. Bronchogenic carcinoma
2. Parotid carcinoma
3. Dysgerminoma
4. Osteogenic sarcoma

Correct answer: 3. Dysgerminoma

Explanation: A dysgerminoma is a type of germ cell tumor; it usually is malignant and usually occurs in the ovary.
A tumor of the identical histology but not occurring in the ovary may be described by an alternate name: seminoma in the testis or germinoma in the central nervous system or other parts of the body.